'Hairy cell leukemia' is a neoplastic proliferation of-
1. T.cells
2. B.cells
3. Myeloid cells
4. Macrophages

Correct answer: 2. B.cells